Which is seen in nephrotic syndrome-a) Low serum calciumb) Raised AT-IIIc) Low lipidd) Platelet activation
1. b
2. c
3. ad
4. ab

Correct answer: 3. ad